A characteristic feature of lingual surface of the mandibular first premolar is:
1. Rudimentary lingual cusp
2. Mesial marginal ridge
3. Mesiolingual developmental groove
4. Lingual triangular ridge

Correct answer: 3. Mesiolingual developmental groove

Explanation: A characteristic of the lingual surface of the mandibular first premolar is the mesiolingual developmental groove. This groove acts as a line of demarcation between the mesiobuccal lobe and the lingual lobe and extends into the mesial fossa of the occlusal surface.